PCT secretes
1. Sodium
2. Glucose
3. Hydrogen ions
4. Amino acids

Correct answer: 3. Hydrogen ions

Explanation: PCT secretes H+ into tubule thus helping in excretion . Ref: Ganong's review of medical physiology; 24th edition; page no: 685